Tentative cut is a feature of which of the following?
1. Suicidal attempt
2. Accidental injury
3. Homicidal assault
4. Fall from the height

Correct answer: 1. Suicidal attempt

Explanation: The preliminary cuts, also known as tentative cuts are generally small, multiple, superficial, somewhat parallel and usually skin deep. They are seen near and at the commencement of the incised wound and may merge with the main incision. Such incisions are commonly found in suicidal cut throat and in suicidal cuts on wrists. Ref: Essentials of Forensic Medicine and Toxicology By Dr K S Narayan Reddy, 27th Edition, Pages 171